A doctor injected syringe which was used before on a patient, who turned out to be HIV positive later. Under which of the following IPCs will the doctor be booked for medical negligence?
1. 166 B
2. 202
3. 203
4. 269

Correct answer: 4. 269

Explanation: S. 269 IPC: Punishment for Negligent act likely to spread infection of disease dangerous to life. S. 270:- Malignant act likely to spread infection of disease dangerous to life.